Pseudo isomorphic phenomenon is seen in?
1. Vitiligo
2. Lichen planus
3. Psoriasis
4. Warts

Correct answer: 4. Warts

Explanation: Warts REF: Roxburgh's 17'h ed page 130-132, rook's- 7'h ed p. 35.1-35.63 Isomorphic or kobner's phenomenon is seen in: (Appearance of lesion at the site of minor trauma) Lichen planus Psoriasis Kaposi sarcoma Molluscum contagiosum Warts Vitiligo DLE Pseudoisomorphic pheonomenon (is due to autoinoculation and is seen in infections like) Plane warts Molluscum contagiosum Eczematous lesions